Nerve Fibres innervating sweat glands release the following at their endings
1. Noradrenaline
2. Acetylcholine
3. Dopamine
4. Histamine

Correct answer: 2. Acetylcholine

Explanation: (B) Acetylcholine > Sympathetic cholinergic system serves two important function.> Sweat gland: Secretion of sweat> Vasodilation in skeletal Muscles: A part of the neurons to blood vessels in skeletal muscles are anatomically sympathetic secrete acetylcholine. Simulation of this system of neurons produces vasodilatation in skeletal muscles.